All are true about fibrolamellar HCC except:
1. AFP is not raised
2. Recurrence is common
3. Raised neurotensin levels
4. Well demarcated and encapsulated

Correct answer: 4. Well demarcated and encapsulated

Explanation: Ans. (d) well demarcated and encapsulatedRef: Sabiston 19/e p 1458Features of Fibro lamellar HCC:* MC in Young adults (M = F)* No H/o Cirrhosis* Pathology: Well demarcated, Non encapsulated, Central Fibrotic scar* High resectable rate* Slow growth, Better prognosis* AFP is normal* Neurotensin and Vit- B12 Binding Globulin are elevated* Recurrence is common after resection (80% recur)* Lymph nodes ++ predict worst outcome